A 30 year old man had sexual exposure to a commercial sex worker, develops a painless indurated ulcer on gland after 3 weeks. Diagnosis is -
1. Syphilis
2. Chancroid
3. HSV
4. Traumatic

Correct answer: 1. Syphilis

Explanation: Ans. is 'a' i.e., Syphilis o Among the given options only syphilis causes painless ulcer. Also its IP is 9-90 days (median 3 weeks). Genital ulcers || |PainlessPainful|i| | iNo-lymphadenopathy Lymphadenopathy Multiple lesions Painful lymphadenopathy | | | | Painfullymphadenopathy Painlesslymphadenopathy||Presence of vesicles B/L lymphadenopathySuppurative lymphnode U/L lymphadenopathy|||| || | | DonovanosisLGV Chancre(syphilis) HSV Chancroid o Suggestive features# Single or multiple# IP -1-4 weeks# Bleeding easily# Exuberant granulation tissues# Firm induration# Elevated# Elevated, irregular serpigi ginous edges# One attack (no recurrence)o Suggestive features# Single# IP - 3 days - 6 weeks# Non-bleeding# Finn induration# Superficial or deep# Elevated round or oval edges# One attack (no recurrence)o Suggestive features# Single# IP - 9-90 days# Non-bleeding# Firm induration# Superficial or deep# Elevated round or oval edges# One attack (no recurrence)o Suggestive features# Multiple# IP - 2-7 days# Non-bleeding# Non-indurated# Superficial# Undermined, ragged, sloughed irregular edges# Frequantly recurrento Suggestive features# Multiple# IP -1-7 days# Bleeding# Non-indurated or soft induration# Exacavated# Erythematous edges# One or two attacks